True about cryptosporidium are all except -
1. Spores chlorine resistant
2. Acid fast spores
3. Spores >100 mico meters
4. Enzyme immune assay done

Correct answer: 3. Spores >100 mico meters

Explanation: The oocyst is about 5 mm in diameter.from that sporozoites gets liberated TEXTBOOK OF MEDICAL PARASITOLOGY,CKJ PANIKER,6TH EDITION,PAGE NO 105